Tumor markers of ovarian cancer is-
1. CA125
2. CA19-9
3. AFP
4. hCG

Correct answer: 1. CA125

Explanation: Ans. is 'a' i.e., CA 125